Papez circuit is formed by which thalamic nucleus-
1. Anterior
2. Medial geniculate
3. Lateralgeniculate
4. Posterior

Correct answer: 1. Anterior

Explanation: Ans. is 'a' i.e., Anterior o Various nuclei of the limbic system forms an interconnected closed circuit called Papez circuito The structures involved in papez circuit are Hippocampus, Mamillary body, Anterior thalamic nuclei and cingulate gyrus.